Examination of a 3-day-old male infant reveals protrusion of his spinal cord and meninges from a defect in the lower back. Which of the following describes this congenital anomaly?
1. Avulsion of meninges
2. Meningitis
3. Spina bifida occulta
4. Spina bifida with meningomyelocele

Correct answer: 4. Spina bifida with meningomyelocele

Explanation: Because the meninges and spinal cord are included in the protrusion, the patient's condition is a classic presentation of spina bifida with meningomyelocele. If the protrusion contains only meninges but no CNS tissue, it is known as spina bifida with meningocele. Meningitis is an inflammation of the meninges caused by bacteria, viral, or numerous other irritants. It does not cause deformation of vertebrae or result in protrusion of spinal cord contents. Spina bifida occulta is a normally asymptomatic condition in which the vertebral lamina fail to fuse completely during embryologic development. A tuft of hair is commonly seen growing over the affected region (usually lumbar in position).